Diagnosis of bone defect is done accurately by:
1. Clinical examination
2. Radiographs
3. Surgical exposure
4. Probing

Correct answer: 3. Surgical exposure